Most common dental injury of all crown fractures:
1. Crown infraction
2. Uncomplicated crown fracture.
3. Complicated crown fracture.
4. None of the above.

Correct answer: 2. Uncomplicated crown fracture.